Deliriant poison is -
1. Datura
2. Alcohol
3. Opium
4. Arsenic

Correct answer: 1. Datura

Explanation: Deliriant poisons are Dhatura, belladonna, hyoscyamus and cannabis indica